Local anaesthesia causing methemoglobinemia is an effect of which of the following agents?
1. Prilocaine
2. Etidocaine
3. Ropivacaine
4. Procaine

Correct answer: 1. Prilocaine

Explanation: reduces the amount of hemoglobin that is available for oxygen transport this side effect is potentially life threatening. Drugs causing Methemoglobinemia: Sulfonamides Primaquine Nitrobenzene Prilocaine Aminophenones Anilines Ref: Morgan Anaesthesia, 4th Edition, Page 269